Retromylohyoid fossa is an area posterior to mylohyoid muscle and is bounded by retromylohyoid curtain in edentulous mandible. Its posterolateral portion overlies
1. Superior constrictor muscle
2. Palatoglossus muscle
3. Submandibular gland
4. Mylohyoid muscle

Correct answer: 1. Superior constrictor muscle

Explanation: → Retromylohyoid fossa is an area posterior to mylohyoid muscle and is bounded by retromylohyoid curtain in edentulous mandible.
→ Posterolateral portion overlies superior constrictor muscle, posteromedial overlies palatogolossus and tongue, and inferior portion overlies submandibular gland.